The commando operation is:-
1. Abdominoperineal resection of the rectum for carcinoma
2. Disarticulation of the hip for gas gangrene of the leg
3. Extended radical mastectomy
4. Excision of carcinoma of the jaw and lymph nodes

Correct answer: 4. Excision of carcinoma of the jaw and lymph nodes

Explanation: Commando's operation: Total glossectomy hemimandibulectomy + Removal of floor of mouth + Radical lymph node dissection Indicated when carcinoma is fixed to mandible with infiltration of floor of mouth.